A 24 year old male patient complains of yellowish discoloration of the teeth. Intra-oral examination reveals generalized grade 1 tetracycline stains and proximal caries was present with 22. Composite restoration in this patient is delayed for atleast _____ after bleaching.
1. 3 days
2. 1 week
3. 10 days
4. 1 month

Correct answer: 2. 1 week

Explanation: With all bleaching techniques, a transitory decrease occurs in the potential bond strength of composite when it is applied to bleached enamel and dentin. This reduction in bond strength results from residual oxygen or peroxide residue in the tooth that inhibits the setting of the bonding resin, precluding adequate resin tag formation in the etched enamel. No loss of bond strength is noted, if the composite restorative treatment is delayed at least 1 week after cessation of any bleaching.
Reference-  Sturdevant 6th ed Pg-310